Dorsal chorde is seen in
1. Hypospadias
2. Epispadias
3. Phimosis
4. None of the above

Correct answer: 2. Epispadias

Explanation: Dossal chorde - Penis is curved dorsally (in upward direction). It is seen in Epispadias.